Tober Ayer's test is positive in which of the following condition?
1. Lateral sinus thrombosis
2. Petrositis
3. Cerebral abscess
4. Subarachnoid haemorrhage

Correct answer: 1. Lateral sinus thrombosis

Explanation: Positive Queckenstedt test or Tobey Ayer test is present in lateral sinus thrombosis. It refers to a lack of increase in CSF pressure during compression of internal jugular vein ipsilateral to a thrombosed lateral sinus. It can also be diagnosed by CT scan or MRI. MR venogram is helpful in showing the degree of thrombus extension within the venous system. Patients presents with low grade intermittent fever, that can progress to a spiking, picket fence pattern secondary to the dissemination of septic emboli into the systemic circulation. They can also develop torticollis and neck tenderness particularly along the course of internal jugular vein.